All are skin findings in atopic dermatitis, EXCEPT:
1. Facial pallor
2. Pityriasis alba
3. Keratosis pilaris
4. Black dermatographism

Correct answer: 4. Black dermatographism

Explanation: First 3 options are included under the minor criteria for atopic dermatitis. In atopic dermatitis white dermatographism occures which is a white line occuring in the skin on stroking with a blunt object. Black dermaotographism is discolouration of the skin after pressure from a metallic object. Ref: Fitzpatrick's Dermatology in General Medicine, 7th edition, Page : 148